Chief extensor of thigh at hip joint is supplied by:
1. Inferior gluteal nerve
2. Superior gluteal nerve
3. Sciatic nerve
4. Peroneal nerve

Correct answer: 1. Inferior gluteal nerve

Explanation: Ans. A Inferior gluteal nerveRef: Netter's Clinical Anatomy, 3rd ed. pg. 279-280* The chief extensor of thigh at hip joint is gluteus maximus and helps in rising from sitting position.* It is supplied by inferior gluteal nerve (L5, S1, S2). (mnemonic: M.I.G- 512)* Gluteus medius are minimus are powerful abductor of thigh and are supplied by superior gluteal nerve (L4, 5, S1).